Which of the following enzymatic preparation is produced from Clostridium histolyticum by the process of fermentation?
1. Streptodornase
2. Streptokinase
3. Collagenase
4. Altepase

Correct answer: 3. Collagenase

Explanation: Ans. c (Collagenase). (Ref. Pharmacology by KD Tripathi 5th ed.)PropertiesStreptokinase# It is a fibrinolytic drug.# It works by activating a naturally occurring enzyme that is present in human serum.# This enzyme breaks down the fibrin present in blood clots.# When streptokinase is applied to a wound, the activated enzyme causes blood clots and fibrinous material in the wound to rapidly dissolve.Streptodornase# It is an enzyme that liquefies the components of dead cells and pus in a wound.# The action of the two enzymes together causes clotted blood, fibrous and infected matter covering a wound to be liquefied.# This helps to clean the wound, a process known as de-sloughing.# It allows new healthy tissue to grow and the wound to heal.# The enzymes have no effect on collagen, living cells or healthy tissue.Collagenase# Mixture of four DNAases released by streptococci.# By degradilng substances released from dead cells the enzyme reduces the viscosity of pus and allows the organism greater motility.# Collagenases, enzymes that break down the native collagen that holds animal tissues together, are made by a variety of microorganisms and by many different animal cells.# The most potent collagenase is the "crude" collagenase secreted by the anaerobic bacteria Clostridium histolyticum.# With a few exceptions different commercial collagenase are all made from C. histolyticum, or are recombinant versions where Escherichia coli expresses a gene cloned from C. histolyticum.# The three collagenases (MMP-1, MMP-8, and MMP-13) that initiate the cleavage of interstitial collagens are induced in both inflammatory cells and structural cells in COPD.